Primary prevention in myocardial infarction are all EXCEPT:
1. Maintenance of normal body weight
2. Change in life style
3. Change in nutritional habits
4. Screening for hypertension

Correct answer: 4. Screening for hypertension

Explanation: - All screening & diagnostic tests comes under secondary level of prevention. - Hence, Screening for hypertension is a secondary level of prevention. It aims to reduce the prevalence of a disease by shortening its duration. - All other options given protects against development of MI. Hence, primary level of prevention.